Hippocratic facies is seen in
1. Peritonitis
2. Pancreatitis
3. Facial nerve injury
4. Marginal mandibular nerve injury

Correct answer: 1. Peritonitis

Explanation: Hippocratic facies--bright, hollow eyes; pale, pinched face; cold perspiration in eye brows; dry, fissured tongue; blue lips. Patient will be in severe shock. It signifies terminal status with high mortality rate. It is a typical facial sign of severe end stage peritonitis.Reference : page 572 SRB's manual of surgery 5th edition